Third generation cephalosporin that can be given orally is:
1. Cefixime
2. Cefpirome
3. Cefaclor
4. Cefadroxil

Correct answer: 1. Cefixime

Explanation: Cefixime It is an orally active third generation cephalosporin highly active against Enterobacteriaceae, H. influenzae and is resistant to many beta-lactamases. ESENTIALS OF MEDICAL PHARMACOLOGY page no.728